Parachute reflex disappears?
1. 3 months
2. 6 months
3. Never
4. At birth

Correct answer: 3. Never

Explanation: Parachute reflex:-
This reflex occurs in slightly older infants (starts between 6 and 7 months and become fully mature by 1 year of age and persists thereafter) when the child is held upright and the baby's body is rotated quickly to face forward (as in falling). The baby will extend their arms forward as if to break a fall, even though this reflex appears long before the baby walks.